Transfer of an amino group from an amino acid to alpha keto acid is done by
1. Transaminases
2. Aminases
3. Transketolase
4. Decarboxylase

Correct answer: 1. Transaminases